Bisacodyl is:
1. Bulk forming
2. Stool softner
3. Stimulant purgative
4. Osmotic purgative

Correct answer: 3. Stimulant purgative

Explanation: stimulant purgatives 1.diphenylmethane( bisacodyl,sodium picosulfate) 2. Anthraquinones(senna) 3.5HT4 antagonisr(prucalopride) 4.fixed oil(castor oil) ESSENTIALS OF MEDICAL PHARMACOLOGY SEVENTH EDITION KD TRIPATHI PG NO .672